Beta blocker having both α and β blocking property is:
1. Carvedilol
2. Sotalol
3. Nadolol
4. Pindolol

Correct answer: 1. Carvedilol